Muscle used in normal walk during stance and swing
1. Ilio psoas
2. Tibialis Anterior
3. Popliteus
4. Gastrocnemius-soleus

Correct answer: 2. Tibialis Anterior

Explanation: Each leg goes through stance phase and swing phase in normal walking.
Stance phase - Foot on ground. 60% of gait. 
Main muscles involved are

   Heel strike - quadriceps, hamstrings, tibialis anterior
   Mid stance - quadriceps, hamstrings, tibialis anterior, gluteus maximus
   Push off - gastrocnemius -soleus

Swing phase - Foot not on ground, 40% of gait.
Main muscles involved are

   Acceleration - quadriceps
   Swing through - iliopsoas
   Deceleration - hamstrings and tibialis anterior.